A baby with flat face, low set ears, micrognathia has limb deformities . and bilateral renal agenesis . There is antenatal history of oligohydromnios . The baby died of pulmonary hypoplasia what is the most probable diagnosis?
1. Polycystic Kidney disease
2. Prune belly syndrome
3. Potter syndrome
4. Multicystic dysplastic kidney

Correct answer: 3. Potter syndrome

Explanation: Potter syndrome :
potter facies : Flat face, flat nose, low set ears, receding chin. Bilateral renal agenesis. Most common cause of death in pulmonary hypoplasia.